Decrease in cell size refers to -
1. Atrophy
2. Metaplasia
3. Hyperplasia
4. Hypertrophy

Correct answer: 1. Atrophy

Explanation: Ans. is 'a' i.e., Atrophy Atrophy o Shrinkage in the size of the cell by loss of cell substance is known as atrophy. o Atrophy may be physiological or pathological. Physiological atrophy --> Atrophy of notochord and thyroglossal duct during fetal development, and decrease in uterus size after parturition. Pathological atrophy --> Atrophy may occur from different causes e.g.,. decreased workload (atrophy of disuse), loss of innervation (Denervation atrophy), Diminished blood supply, Aging (Senile atrophy), inadequate nutrition, or pressure. Mechanism of atrophy o Atrophy results from a reduction in the structural components of the cell. o Increased protein degradation probably plays a central role in atrophy. Defination of atrophy has been changed in 8111/e of Robbins o Atrophy is reduced size of an organ or tissue resulting from a decrease in cell size and number.